Flexor digitorum profundus muscle nerve supply is
1. Medial half by ulnar nerve
2. Medial half by median nerve
3. Lateral half by ulnar nerve
4. Lateral half byaradial nerve

Correct answer: 1. Medial half by ulnar nerve

Explanation: -FDP nerve supply -medial half by ulnar nerve and lateral half by the anterior interosseous nerve- a branch of the median nerve. -reference: Textbook of anatomy ,Upper limb and thorax,Vishram Singh, 2nd edition, page no. 110